The main feature of chemotaxis is:
1. Increased random movement of neutrophils
2. Increase adhesiveness to intima
3. Increased phagocytosis
4. Unidirectional locomotion of the neutrophils

Correct answer: 4. Unidirectional locomotion of the neutrophils

Explanation: After exiting the circulation, leukocytes move in the tissues toward the site of injury by a process called chemotaxis, which is defined as locomotion along a chemical gradient. Both exogenous and endogenous substances can act as chemo-attractants.